Bronchial mucosa secretes all except?
1. Bombesin
2. Calcitonin
3. Serotonin
4. Bradykinin

Correct answer: 4. Bradykinin

Explanation: Ans. (d) Bradykinin(Ref: Robbins 9th/pg 669-670)Bronchial mucosa contains neuroendocrine cells that have neurosecretory-type granules releasing: serotonin Q, calcitonin Q, and gastrin-releasing peptide (bombesin) Q